Earliest symptom of glomus tumour is
1. Pulsatile tinnitus
2. Deafness
3. Headache
4. Vertigo

Correct answer: 1. Pulsatile tinnitus

Explanation: The earliest symptoms are hearing loss and tinnitus. The earliest symptom of a glomus tumour is pulsatile tinnitus which is of swishing character and synchronous with pulse. Ref: Dhingra 7th edition pg. 121